In urea cycle which defect is an X linked disease
1. Ornithine transcarbamylase
2. Aspartate transcarbamylase
3. Arginase
4. Argininosuccinate synthase

Correct answer: 1. Ornithine transcarbamylase

Explanation: Rest all are autosomal disease Ref-Harpers illustrated biochemistry 30/e p650